The following statements stand true for Mantoux test -
1. Test is read before 48 hours
2. 6-9 mm induaion shows maximum chances of developing Tb
3. A positive test does not indicate that the person is suffering from disease
4. New cases are more likely occur in tuberculin negative person than those who already are tuberculin reactors

Correct answer: 3. A positive test does not indicate that the person is suffering from disease

Explanation: Test is read after 48 - 96 hours but 72 hours is ideal. Reactions exceeding 10 mm considered positive and between 6-9 considered doubtful. 92% of new cases occur in patients who are tuberculin reactors Reference; Park's Textbook of preventive and social medicine, 24th edition.Pg no. 195